Ten readings of BP taken before and after treatment is studied by-
1. Paired 't' test
2. 'Z' test
3. Students 't' test
4. Correlation test

Correct answer: 1. Paired 't' test

Explanation: Ref:Parks 23rd edition pg 852 Here a Quantitative measurement is taken. But there is only a single group( before and after intervention.) so., paired T test is used . Tests of significance: Qualitative: Chi- square : 2 or more than 2 groups Mc Nemar test : 1 group. ( before and after intervention) Quantitative: Paired T test: 1 group Student T test/ unpaired T test: 2 groups Anova: more than 2 groups.